Tricyclic Anti depressant are contraindicated in
1. Glucoma
2. Brain Tumor
3. Bronchial Asthma
4. Hypertension

Correct answer: 1. Glucoma

Explanation: A i.e. Glucoma